Tokyo convention act of 1975 pertains to -
1. MTP
2. Clinical trial on humans
3. Women rights
4. Offences committed on board aircraft

Correct answer: 4. Offences committed on board aircraft

Explanation: The Essentials Forensic Medicine & Toxicology Dr.K.S. Narayana Reddy 32nd edition pg no 611 &612 DECLARATION OF TOKYO 1975 The world medical association adopted the following guidelines for medical doctorsbconcerning Torture and other cruel in human or Degrading.TREATMENT or punishment in relation to distention and imprisonment. 1. the doctor shall not countenance ,condone or participate in the practice of torture (physicalor mental suffering ) or other forms of cruel in human or degrading procedure whatever the offence of prisoner pr detaineres may be and whatever be the victims motives or beliefs and in all situations including armed conflict and civilstrife 2. the doctor shall not provide any premises, instrument ,substances or knowledge to facilitate the practice of torture or other forms of cruel ,in human or degrading treatment or to diminsh the ability of the victim to resist such treatment. 3. the doctor shall not be presnt during any procedure during which torture or other forms of cruel treatment is used or threathened 4. a doctor must have a complete total independencein deciding upon the care if the patient 5. if a prisoner refuses nourishment and is capable of forming a rational judgement about the consequences he should not be fed artificially 6.the doctor shall in all circumstances be bound to alleviate the distress of his follow mwn, and no motive shall prevail against this higher purposes.